Which of the following is seen in pulmonary thromboembolism?
1. S1 Q3 T3
2. S2 Q3 T3
3. S3 Q3 T1
4. S3 Q3 T2

Correct answer: 1. S1 Q3 T3

Explanation: Ans: a (S1Q3T3) Ref: Harrison, 16th ed, p. 1562; 17th ed, p. 1653The following are seen in PE:S wave in lead IQ wave in lead IIIT wave in lead IIIBut it is not the most common ECG finding in pulmonary embolism.Classical ECG finding in pulmonary embolism is sinus tachycardia followed by AF.T wave inversion in V1 to V4 is also seen.Dyspnea is the most frequent symptom of PE.Tachypnoea is the most common sign.Heart failure occurs if 60% of the pulmonary artery is blocked by embolus.Pulmonary embolism is the most common cause of acute cor pulmonaleSevere COPD is the most common cause of chronic cor pulmonale.Inherited coagulation defects leading to vascular thrombosisVenous thrombosis is caused by:Factor V leiden mutationAnti - thrombin deficiencyProtein C and protein S deficiencyAnti phospholipid antibodyHomocysteinemiaOf these only anti phospholipid antibody and homocysteinemia will cause arterial thrombosis.The commonest coagulation defect among these is mutation of Factor V leiden.